Neurocysticercosis DOC-
1. Praziquantel
2. Albendazole
3. Niclosemide
4. Flubendazole

Correct answer: 2. Albendazole